AFP is increased in all conditions except?
1. Pregnancy
2. Seminoma
3. HCC
4. Lung carcinoma

Correct answer: 2. Seminoma

Explanation: Ans. is 'b' i.e., Seminoma o Repeat from previous sessions.